lady with previous cesarean section presents in labour. Trial of normal vaginal delivery is contraindicated in:
1. Breech presentation
2. Fact of knowing that previous cesarean section was due to CPD
3. Previous classical cesarean section
4. No previous vaginal delivery

Correct answer: 3. Previous classical cesarean section

Explanation: Ans. c. Previous classical cesarean section Trial of normal vaginal delivery is contraindicated in previous classical or inverted-T shaped uterine incision cesarean section. Vaginal Birth After Cesarean (VBAC) Trial of Labour (TOL Selection Criteria One previous lower segment transverse scarQ Pelvis adequate for the fetusQ Continued labour monitoring possibleQ Availability of resources (Anesthesia,blood transfusion and OT), for emergency cesarean section within 30 minutes of decision Informed consent of the women Contraindications Previous classical or inverted-T shaped uterine incisionQ Previous 2 or more LSCSQ Pelvis contracted or suspected CPDQ Presence of other complications in pregnancy- Obstetric(Pre-eclampsia, malpresentation, placenta praevia) or medical Resources limited or emergency cesarean delivery or patient refusal